Which has least density ?
1. LDL
2. Chylomicrons
3. HDL
4. VLDL

Correct answer: 2. Chylomicrons

Explanation: Ans. is 'b' i.e., Chylomicrons HDL :- Has maximum electrophoretic mobility, has maximum density, has minimum lipid content, has maximum protein (apoprotein) content, are smallest in size, has maximum phospholipid, has minimum triglycerides.Chylomicrons :- Have no electrophoretic mobility, have minimum density, have maximum lipid content, have minimum protein content, are largest in size, have minimum phospholipids, have maximum triglycerides.